Heat stiffening in muscles occurs above temperature (°C) -
1. 30
2. 40
3. 50
4. 60

Correct answer: 4. 60

Explanation: Heat stiffening or heat coagulation is found in bodies exposed to heat i.e. temperatures above 65°C (Reddy)/70°C (Parikh) as is seen in death due to burning, high voltage electrocution (electric shock), or falling into hot liquid.